Tamoxifen is :
1. Non steroidal antiprogesterone
2. Non steroidal antioestrogenic
3. Synthetic progestogen norethindrone
4. Competitive inhibitor of the 5alpha-reductase

Correct answer: 2. Non steroidal antioestrogenic

Explanation: Non steroidal antioestrogenic